Internal orifice of branchial Fistula is located at:
1. Lower third of neck over anterior border of starnocleidomastoid
2. Floor of external auditory canal
3. Posterior tonsillar pillar
4. Anterior to tragus on the ipsilateral side

Correct answer: 3. Posterior tonsillar pillar

Explanation: Branchial festula represents 2nd branchial cleft:

Internal orifice: Anterior aspect of posterior tonsillar pillar.
External orifice: Lower third of neck over anterior border of sternocleidomastoid.